In Alzheimer's disease (AD) which of the following are seen:
1. Aphasia
2. Apraxia
3. Agnosia
4. All the above

Correct answer: 4. All the above

Explanation: Ans. All the aboveAll 4 A's are seen early in Alzheimer's disease.4 A's are:Amnesia-Memory disturbancesAphasia-Disturbances in language functionApraxia-Difficulty in performing learned motor movementsAgnosia-Difficulty to interpret a sensory stimulus